The most common chromosomal syndrome is _____
1. Fragile-X-Syndrome
2. Trisomy 18
3. Trisomy 21
4. Trisomy 13

Correct answer: 3. Trisomy 21

Explanation: Trisomy 21 (Down's syndrome) is the most common chromosomal syndrome. Chromosomal disorders: These may involve autosomal or sex chromosomes. Involving autosomes Involving sex Chromosomes Down's syndrome (Trisomy 21) Edward syndrome (Trisomy 18) Patau syndrome (Trisomy 13) Cri du chat syndrome (5p deletion) Klinefelter syndrome (47,XXY) Turner syndrome (45,XO) Ref: Nelson textbook of pediatrics 21st edition Pgno: 659